Epidemic pleurodynia is caused by ?
1. Enterovirus -70
2. Coxsackie - A virus
3. Coxsackie -B virus
4. Enterovirus

Correct answer: 3. Coxsackie -B virus

Explanation: Ans. is 'c' i.e., Coxsackie -B virus There are two types of Coxsackie viruses :Coxsackie A (Seotypes 1 to 24) : They cause aseptic meningitis (especially A7 and A9), Herpangina, febrile illness, acute hemorrhagic conjucntivitis (by A24), and 'Hand-foot-mouth disease'.Coxsackie B (Sterotypes 1 to 6) : They cause aseptic meningitis (all serotypes), neonatal disease, Bornholm disease (plurodynia or epidemic myalgia), myocarditis, hepatitis, pancreatitis & DM (serotype B4), and pneumonia.